In nasal smear number of eosinophils is increased in:
1. Viral rhinitis
2. Rhinitis medicamentosa
3. Vasomotor rhinitis
4. Non-allergic eosinophilic rhinitis

Correct answer: 4. Non-allergic eosinophilic rhinitis

Explanation: Increased number of eosinophils on nasal smear is seen in allergic rhinitis, non-allergic eosinophilic rhinitis and aspirin sensitivity.